Harder stone with less satisfactory result in ESWL is
1. Oxalate
2. Phosphate
3. Urate
4. Cystine stones

Correct answer: 4. Cystine stones

Explanation: Ans. (d) Cystine StonesRef Bailey and Love 27th Edition, Page 1408Extra Corporeal Shock Wave Lithotripsy:* Shock waves generated and focused on the stones.* Methods of Shock Wave Generation:# Spark Gap# Electromagnetic# Piezo Electric# Micro Expulsive* Cardiac arrhythmias can happen in cases of Spark Gap generated waves* ESWL is indicated for stones upto 1.5cm in kidney* Prophylactic antibiotics are advised.* Relatively resistant stone is CYSTINE due to its hardness.* Contraindications: Pregnancy and Oral Anticoagulant drug consuming patients* Steinstrasse - Stone street is collection of stone fragments in distal ureter after breaking by ESWL.